Which of the following is used in exocytosis?
1. Ca
2. Mg
3. Na
4. K

Correct answer: 1. Ca

Explanation: Ans. (a) CaExocytosis is a calcium dependent process where in the cellular contents are moved out of the cell in the form of vesicles (Cell Vomiting)